Which is not true about erosive gastritis -a) Endoscopy is investigation of choiceb) Pain is absentc) It may be drug inducedd) Barium meal may clinch the diagnosis
1. ac
2. ad
3. ab
4. bd

Correct answer: 4. bd